All of the following are true about juxtamedullary nephrons except
1. It forms 15% of total nephrons
2. It ling loop of henle
3. It has slow rate of filtration
4. Major function is concentration of urine by counter current mechanism

Correct answer: 3. It has slow rate of filtration

Explanation: Features of Juxtamedullary nephrons :

Located near junction of cortex and medulla
Forms 15% of total nephrons
Loop of henle is large extending deep into medulla
it has high rate of filtration.